Early dumping is due to
1. Osmotically active substance
2. Hypoglycemia
3. Hyperglycemia
4. Hypertriglyceridemia

Correct answer: 1. Osmotically active substance

Explanation: Early Dumping It occurs immediately after meals (after 15-30 minutes) Dumping of hyperosmolar contents into the small bowel results in rapid influx from the circulation into the gastrointestinal tract. This leads to acute intestinal distention and peripheral and splanchnic vasodilation This gives rise to vasomotor and abdominal symptoms : Epigastric fullness, sweating, light headed, tachycardia, diarrhoea Symptoms can be ameliorated by lying down and saline infusion Ref: Sabiston 20th edition Pgno : 1212